Coin shaped eczema is –
1. Nummular eczema
2. Atopic acema
3. Infantile eczema
4. Endogenous eczema

Correct answer: 1. Nummular eczema

Explanation: Nummular eczema (discoid eczema) is characterized by multiple, itchy, scaly, coin shaped exudative plaques on extremities in middle-aged men.